Marker of cell membrane is/are
1. 5-Nucleotidase
2. LDH
3. Galactosyltransferase
4. Catalase

Correct answer: 1. 5-Nucleotidase

Explanation: Na+/K+-ATPase -- plasmalemma, glucose-6-phosphatase---endoplasmic reticulum, galactosyltransferase----- Golgi apparatus, succinate dehydrogenase ----- mitochondria, acid phosphatase --- lysosomes, catalase---- peroxisomes and lactate dehydrogenase --- cytosol.